Rain drop pigmentation is seen in
1. Chronic lead poisoning
2. Chronic Arsenic poisoning
3. Chronic Mercury poisoning
4. All of the above

Correct answer: 2. Chronic Arsenic poisoning

Explanation: chronic arsenic exposure from occupations for polonged periods 1-20 years may develop diffuse pigmentation predominant over trunk and is superimposed by 2-10mm macules of depigmentation producing characteristic rain drop appearence. IADVL textbook of dermatology, disorders of pigmentation page 786